All are pneumatisation patterns of sphenoid sinus except:
1. Pre sellar
2. Post sellar
3. Concha bullosa
4. Conchal

Correct answer: 3. Concha bullosa

Explanation: Three types of sphenoid sinus pneumatisation patterns are present. Pneumatisation patterns depend on the position of the sinus in relation to the sella turcica (over the body of sphenoid) a. Conchal - no pneumatisation occurs below the sella. There is a solid block of bone beneath the sella. b. Pre sellar - pneumatisation does not extend beyond the anterior border of sella turcica. c. Sellar/Post sellar - In this case pneumatisation occurs both below and posterior to the sella turcica. This is the most common type of sphenoid pneumatisation seen among individuals